Decerebrate  rigidity is characterised by all except
1. Abnormal extensor response
2. Wrists and fingers flexed
3. Arms flexed at elbow
4. Plantar flexion of foot

Correct answer: 3. Arms flexed at elbow

Explanation: Decerebrate rigidity is characterised by adducted arms and extended elbow